A nurse was diagnosed to have HBeAg and HBsAg in serum. Most likely she is having
1. Chronic hepatitis B
2. Active and infectious Hepatitis B disease
3. HBV + HBE coinfection
4. Recovery from Hepatitis B

Correct answer: 2. Active and infectious Hepatitis B disease

Explanation: HBsAg plus HBEAg in serum
• Acute hepatitis B
• Active and Infectious hepatitis B
• Chronic hepatitis B with Active viral replication (high infectivity)